. Aphasia which affects the arcuate fibres is called?
1. Global aphasia
2. Anomic aphasia
3. Conduction aphasia
4. Broca's aphasia

Correct answer: 3. Conduction aphasia

Explanation: Harrison's principles of internal medicine 17th edition. *In conduction aphasia speech output is fluent but para phasic. The lesion sites spare Broca's and Wernicke's area but may induce a functional disconnection between the two so that lexical representation formed in Wernicke's area cannot be conveyed to Broca's area.